Without breastfeeding the first menstrual flow usually begins --- weeks after delivery?
1. 2-4 weeks
2. 4-6 weeks
3. 6-8 weeks
4. 8-10 weeks

Correct answer: 3. 6-8 weeks

Explanation: This is variable and depends upon whether the woman is lactating. Nonlactating mothers have an early resumption of menses by about 6-8 weeks. In nursing mothers, approximately 70% are amenorrheic until 4-6 months (refer pgno:424 Sheila 2 nd edition)